All are X-ray findings of retinoblastoma except –
1. Widening of optic canal
2. Intra cerebral calcification
3. Intraocular calcification
4. Secondaries in cranial bones

Correct answer: 2. Intra cerebral calcification

Explanation: Retinoblastoma is the most common cause of orbital calcification (nodular or punctate calcification & is favourable prognostic sign).
Enlargement of orbit & orbital canal occurs d/t involvement of optic nerve & intracranial extension.
Metastasizes to meninges, cranial bones, bone marrow, lung, liver, lymph node.